Most common presentation of Meckel's diverticulum?
1. Lower GI bleeding
2. Upper GI bleeding
3. Diarrhorea
4. Abdominal pain

Correct answer: 1. Lower GI bleeding

Explanation: Ans. is 'a' i.e. Lower GI bleeding